Which of the following non depolarizing neuromuscular blocker does not release histamine:-
1. Vecuronium
2. d-tubocurarine
3. Atracurium
4. Mivacurium

Correct answer: 1. Vecuronium

Explanation: Aminosteroid group of non-depolarizing neuromuscular blocker does not release histamine Benzylisoquinoline release histamine in following sequence d-tubocurare >>> atracurium = mivacurium > doxacurium Erythema, flushing, and hypotension are manifestations of histamine release.